Which of the following drug can be used for treatment of premature ejaculation
1. Nitric oxide inhibitor
2. SNRI
3. SSRI
4. PDE inhibitor

Correct answer: 3. SSRI

Explanation: SSRI carries the adverse effect of causing delayed ejaculation and this action is exploited to treat premature ejaculation.